All clostridia cause myonecrosis except?
1. C septicum
2. C difficle
3. C novyi
4. C welchii

Correct answer: 2. C difficle

Explanation: Ans. is 'b' i.e., C difficle